Which differentiating prerenal azotemia with ATN features favoring pre-renal azotemia -a) Urine osmolality > 500 mosmol/kgb) Sodium spot excretion < 10 ml/Lc) Fractional excretion of sodium > 1d) Plasma BUN/creatinine ratio < 20
1. ac
2. a
3. ab
4. bc

Correct answer: 3. ab